Short bevel extends
1. In almost 2/3rd of enamel
2. Entire enamel + half dentin
3. All of enamel only
4. 1/3rd of enamel

Correct answer: 3. All of enamel only

Explanation: Types of Bevel